BAse substitution mutations can have been following molecular consequence except
1. Changes one codon for an amino acid into another codon for that same amino acid
2. Codon for one amino acid is change into a codon of another amino acid
3. Reading frame changes downstream to the mutant site
4. Codon for one amino acid is changed into a translation termination codon

Correct answer: 3. Reading frame changes downstream to the mutant site

Explanation: A substitution is a mutation that exchanges one base for another (i.e., a change in a single "chemical letter" such as switching an A to a G). Such a substitution could:Change a codon to one that encodes a different amino acid and causes a small change in the protein produced. For example, sickle cell anemia is caused by a substitution in the beta-hemoglobin gene, which alters a single amino acid in the protein produced.Change a codon to one that encodes the same amino acid and causes no change in the protein produced. These are called silent mutations.Change an amino-acid-coding codon to a single "stop" codon and cause an incomplete protein. This can have serious effects since the incomplete protein probably won't function.